Atalanto axial joint is:
1. Hinge joint
2. Ball and socket joint
3. Pivot joint
4. Saddle joint

Correct answer: 3. Pivot joint

Explanation: Pivot jointThe atlantoaxial joint is a joint in the upper part of the neck between the first and second cervical vertebrae; the atlas and axis. It is a pivot joint.